A patient reported with a history of fall on an outstretched hand, complains of pain in the anatomical snuffbox and clinically no deformities visible. The diagnosis is:
1. Colles' fracture
2. Lunate dislocation
3. Barton's fracture
4. Scaphoid fracture

Correct answer: 4. Scaphoid fracture

Explanation: D i.e. Scaphoid